With which heart diseases in Pregnancy is prognosis worst:
1. Eisenmenger's syndrome
2. Aortic Stenosis
3. Mitral Stenosis
4. MVP

Correct answer: 1. Eisenmenger's syndrome

Explanation: Ans. a (Eisenmenger's syndrome). (Ref. Textbook of obstetrics D C Dutta 6th ed. 296)HEART DISEASE IN PREGNANCY# The risk of fetal congenital malformations is increased by 3-10% if either parents have congenital lesions. In mother with AV septal defect, risk of having concordant abnormality in baby is very much high.# Most common heart disease in pregnancy is mitral stenosis.# Most common congenital heart disease during pregnancy is ASD.# Absolute indications for termination of pregnancy are = primary pulmonary hypertension, and Eisenmenger's syndrome as maternal mortality is otherwise found to be highest in them.